All of the following statements are true regarding stargazer breech fetus except
1. Forceps are indicated for delivery
2. Fetal head is hyperextended
3. Cesarean delivery is safest route for delivery
4. Cervical spinal cord can be injured during vaginal delivery

Correct answer: 1. Forceps are indicated for delivery

Explanation: Stargazer breech (Flying fetus) is when head is in extreme hyperextension. Cesarean route is thus indicated since vaginal delivery results in injury to cervical spinal cord.